Which of the following does not drain into coronary sinus:
1. Anterior cardiac vein
2. Small cardiac vein
3. Middle cardiac vein
4. Great cardiac vein

Correct answer: 1. Anterior cardiac vein

Explanation: Coronary sinus receives blood mainly from the small, middle, great and oblique cardiac veins.It also receives blood from the right marginal vein and the left posterior ventricular vein.Most blood from the heart wall drains into the right atrium through the coronary sinus, which lies in the posterior part of the atrioventricular.It opens into the right atrium to the left of the inferior vena cava.The anterior cardiac veins drain directly into the right atrium